Redistribution phenomenon is seen in:
1. Halothane
2. Ether
3. Thiopentone
4. All

Correct answer: 3. Thiopentone